Isolated deletion of which chromosome causes Myelodysplastic syndrome ?
1. 2q
2. 5q
3. 8q
4. 11q

Correct answer: 2. 5q

Explanation: Both primary and t- MDS are associated with recurrent chromosomal abnormalities including monosomies 5 and 7, deletions of 5q, 7q, and 20q and trisomy 8. Ref : Robbins and Cotran Pathologic basis of disease.South Asia Edition volume 1.page no. 614,615